True regarding febrile convulsion -
1. Carbamazepine is good drug to treat it
2. Patient with family h/o F.C. have increased incidence of recurrence
3. Longterm neurological deficits are common
4. All

Correct answer: 2. Patient with family h/o F.C. have increased incidence of recurrence

Explanation: Ans. is 'b' i.e.. Patients with family h/o F.C. have increased incidence of recurrence Risk factors for recurrence o Positive family history o Atypical complex febrile convulsions o Neurodevelopmental retardation (e.g. cerebral palsy, intellectual disability) o Early onset of febrile seizure (before 1 year) Treatment of febrile seizure o Febrile convulsions are managed by prompt reduction of temprature with -* i) Antipyretics --> Paracetamole, Ibuprofen it) Hydrotherapy ---> Sponging o For seizures lasting > 5 minutes, anticonvulsants can be given ? i) Diazepam is the DOC ii) Phenobarbitone is an alternative